In the skull all are true except
1. The sutures are all fibrous joints
2. The coronal suture separates the frontal from the parietal bones
3. The posterior fontanelle usually closes 18 months after birth
4. After middle age cranial sutures begin to ossify from cranial surface

Correct answer: 3. The posterior fontanelle usually closes 18 months after birth

Explanation: Posterior fontanelle usually closes between 3rd and 6th months after birth.